Blackish discoloration present around firearm entry wound is due to
1. unburnt gunpowder
2. Smoke
3. Flame
4. Friction burn and dirt

Correct answer: 2. Smoke

Explanation: Ans) b (Smoke) Ref: KNS Reddy 29th ed p 195In case of a close range shot, tissue surrounding the wound are signed by flame, and blackened by smoke and tattooed by unburnt or partially burnt powder granulesContact shotClose shotDistant shotThe discharge from the muzzle consisting of the flame, powder metallic particles are blown into the track taken by the bulletThe discharge of muzzle is flame powder etc is within the range of the entrance woundThe discharge of the muzzle is outside the range of entrance woundConsequently there may be no burning no soot no tattooing around the entrance woundWound is signed by flame.Surrounded by soot(blackened) and shows tattooingNo burning, no tattooing, sootSkin surrounding the wound will have absence of abraded and grease collarSkin surrounding the wound shows abraded collar and grease collarAbraded collar may be presentSurrounding tissue may be cherry red due to presence of carboxyhaemoglobinCarboxy haemoglobin is present in the wound track in diminishing concentrationSurrounding tissue may be cherry red due to presence of carboxyhemoglobinWound may be small and irregular or large and irregularThe entrance wound is circular with inverted margins but the rebounding gases may level up or even evert the marginThe wound is circular with inverted margins and may be of same size or even smaller than The bullet due to initial stretching of skin